In classic Barret's, the length of columnar epithelium in distal oesophagus is
1. >1cm
2. >2cm
3. >3cm
4. >4cm

Correct answer: 3. >3cm

Explanation: Classic Barrett's (>= 3cm columnar epithelium);Short-segment Barrett's (<3 cm of columnar epithelium);Cardia metaplasia (intestinal metaplasia at the oesophagogastric junction without any macroscopic change at endoscopy).The relative risk of cancer rises with increasing length of abnormal mucosa.